Immature bony trabeculae are found in
1. Fibrous dysplasia
2. Paget's disease
3. Rickets
4. Cleidocranial Dysplasia

Correct answer: 1. Fibrous dysplasia